An unconscious 54-year-old female is admitted to the hospital. A CT scan reveals a tumor in her brain, producing a tentorial herniation. When she regains consciousness, her right eye is directed laterally and downward, with complete ptosis of her upper eyelid and pupillary dilation. Which of the following lobes of the brain is affected by the tumor?
1. Parietal
2. Temporal
3. Occipital
4. Frontal

Correct answer: 2. Temporal

Explanation: The tentorial/uncal herniation described in this case is most likely to occur as a result of a temporal lobe tumor. The uncus is part of the temporal lobe, and when enlarged, it will be compressed against the foramen magnum. This results in the symptoms manifested by damage to the nearby oculomotor nerve. The uncus is not a part of the other named lobes.